The ENT manifestation of Peutz-Jegher's syndrome with benign intestinal polyps is:
1. Vocal polyp
2. Perioral and buccal mucosal pigmentation
3. Nasal polyps
4. Sensorineural hearing loss

Correct answer: 2. Perioral and buccal mucosal pigmentation

Explanation: Polyps in Peutz-Jegher's syndrome are seen in small intestine. However, macules due to deposition of melanin may appear at mucocutaneous junction of oral cavity (perioral), nasal cavity (perinasal), orbit or buccal mucosa for which ENT consultation is sought.